If a diabetic patient being treated with an oral hypoglycemic agent, develops dilutional hyponatremia-which one of the following could be responsible for this effect -
1. Chlorpropamide
2. Tolazamide
3. Glyburide
4. Glimepiride

Correct answer: 1. Chlorpropamide

Explanation: Ans. is 'a' i.e., Chlorpropamide o Cholorpropamide causes cholestasis, dilutional hyponatremia, intolerance to alcohol (disulfiram like reaction).